Treatment of Acute lymphangitis requires -
1. Antibiotic and rest
2. Immediate lymphangiography
3. Immediate multiple incisions
4. No special treatment

Correct answer: 1. Antibiotic and rest